role of toclizumab in a patient with ARDS developed due to covid 19
1. it acts by halting lysogenic phase of corona virus
2. it stops the lung parenchymal damge by the virus
3. it is a IL-6 receptor inhibitor
4. all the above

Correct answer: 3. it is a IL-6 receptor inhibitor

Explanation: Tocilizumab, a monoclonal antibody directed against the interleukin-6 receptor, has been proposed to mitigate the cytokine storm syndrome associated with severe COVID-19. We aimed to investigate the association between tocilizumab exposure and hospital-related mortality among patients requiring intensive care unit (ICU) support for COVID-19. ref : www.ncbi.gov